Following is not a cause of stridor in infants
1. Croup
2. Laryngomalacia
3. Retropharyngeal abscers
4. Bronchiolitis

Correct answer: 4. Bronchiolitis